Most common site forthe lodgement of intraocular foreign body is:
1. Vitreous
2. Posterior chamber
3. Lens
4. Anterior chamber

Correct answer: 1. Vitreous

Explanation: Ans. Vitreous